Buccal mucosa is
1. Keratinized
2. Non-keratinized
3. Parakeratinised
4. Orthokeratinized

Correct answer: 2. Non-keratinized